Example of peptide chemical transmitter of GIT which is secreted in a paracrine fashion is:
1. Gastrin
2. Secetin
3. Somatostatin
4. Histamine

Correct answer: 3. Somatostatin

Explanation: Chemical trasmitters of GIT can be classified as: 1. Endocrine 2. Paracrine 3. Neurocrine 4. Autocrine Typical example of a paracrine signaling is seen in somatostatin. Another example is Histamine. Peptide among these two is Somatostatin where as histamine is a non peptide. Ref: Sleisenger and Fordtrans, Edition-9, Page-3.